All are functions of latissimus dorsi on shoulder, except :
1. External rotation of shoulder
2. Extension
3. Adduction
4. Medial rotation

Correct answer: 1. External rotation of shoulder

Explanation: Latissimus dorsi originates from T7 to T12 spines, thoracolumbar fascia, outer lip of iliac crest, lower 4 ribs and inferior angle of scapula to insert into the floor of bicipital groove. It is innervated by thoracodorsal nerve.
It is used as musculocutaneous flap to fill areas of tissue loss.
Action :

Adduction, extension and medial rotation of shoulder.